Yaws is caused by
1. T.pallidum
2. T. Endemicum
3. T. Pertenue
4. T. Carateum

Correct answer: 3. T. Pertenue

Explanation: Nonvenereal TreponemesDiseaseCauseBejelT.endemicumYawsT.pertenuePintaT.carateumRef: Sherris Microbiology; 6th edition; Page no: 660